What is the normal value of fetal scalp pH?
1. 6.9
2. 7
3. 7.1
4. 7.3

Correct answer: 4. 7.3

Explanation: During labour, normal scalp blood pH is 7.25 to 7.35. A fetal scalp pH greater than or equal to 7.25 indicates a non acidotic fetus. pH value less than 7.20 indicates acidotic fetus. Vibroacoustic stimulation/Scalp stimulation: It refers to the presence of an acceleration after a vaginal examination in which examiner stimulates the fetal vertex with the examining finger or after vibroacoustic stimulation confirms the absence of acidosis (pH more than 7.2). This method is preferred over fetal scalp blood sampling since this is less invasive. Ref: Danforth's Obstetrics and Gynecology: Editors, Ronald S. Gibbs ... . By Ronald S. Gibbs, page 162.